Best investigation for diagnosing abdominal aortic aneurysm is?
1. USG
2. CT angiography
3. Classical radiography
4. Non contrast CT scan

Correct answer: 2. CT angiography

Explanation: Ans. (b) CT angiographyRef. Interventional cardiology by sinha, p 134, Harrison's 17/e, chapter 242